Cranial nerve related to apex of the petrous temporal bone -a) VIIIb) VIIc) VId) Ve) IX
1. cd
2. bc
3. bd
4. ac

Correct answer: 1. cd

Explanation: Site


Cranial Nerves




 Sphenoid fissure (superior orbital)


 III, IV, first division V, VI




 Lateral wall of cavernous sinus


 III, IV, first division V, VI, often with proptosis




 Retrosphenoid space


 II, III, IV, V, VI




 Apex of petrous bone


 V, VI




 Internal auditory meatus


 VII, VIII




 Ponto cerebellar angle


 V, VII, VIII and sometimes IX




 Jugular foramen


 IX, X, XI




 Posterior laterocondylar space


 IX, X, XI, XII




 Posterior retroparotid space


 IX, X, XI, XII and homer  syndrome